Involvement of PIP jt, DIP jt and the carpo-mcp jt of base of thumb with sparing the wrist is seen in:
1. Rheumatoid arthritis
2. Osteoarthritis
3. Psoriatic arthritis
4. Pseudogout

Correct answer: 2. Osteoarthritis

Explanation: Sparing of wrist and metacarpophalangeal joints, with involvement of base of thumb is characteristic of osteoarthritis. Ref: Osteoarthritis: Diagnosis And Medical/Surgical Management By Roland W. Moskowitz, 2007 ; Harrison's Internal Medicine, 14th Edition, Pages 300, 1885, 1938 and 15th Edition, Page 1985